If a patient with severe hyperglycemia is given IV insulin, which of the following can occur?
1. Hypokalemia
2. Hyperkalemia
3. Hyponatremia
4. Hypernatremia

Correct answer: 1. Hypokalemia

Explanation: Insulin causes K+ to enter cells, with a resultant lowering of the extracellular K+ concentration. It acts by increasing the activity of Na+ K+ ATPase in cell membranes, thereby pumping more K+ into cells. Infusions of insulin and glucose significantly lower the plasma K+ level in normal individuals and are very effective for the temporary relief of hyperkalemia in patients with renal failure. Hypokalemia develops when patients with diabetic acidosis are treated with insulin. Ref: Ganong's Review of Medical Physiology, 22nd Edition, Chapter 21